Negative sense nucleic acid genome is found in -a) Poliovirusb) Rabiesc) Measlesd) Picornaviruse) Influenzae
1. ab
2. bc
3. acd
4. bce

Correct answer: 4. bce

Explanation: RNA virus with negative strand RNA are Rhabdoviruses (rabies), Paramyoxovirus (measles), orthomyxovirus (influenzae), Filoviruses, Bunyaviruses, and Arenaviruses.